The term "contact point" which is often used to designate the contact of teeth in the same arch is a
1. Synonym
2. Antonym
3. Misnomer
4. Laevonomer

Correct answer: 3. Misnomer